H.P. inclusion bodies in trachoma are seen to be:
1. Extracellular
2. Intracytoplasmic
3. Intranuclear
4. None

Correct answer: 2. Intracytoplasmic

Explanation: Ans. Intracytoplasmic